Skin manifestations of polyarteritis include -a) Livido reticulosisb) Hyper pigmentationc) Subcutaneous infarctd) Bullous dermatitis
1. a
2. bc
3. ac
4. b

Correct answer: 3. ac